Askin's tumour is-
1. Primitive neuroectodermal tumour of chest wall
2. Merkell cell carcinoma of skin
3. Paraneoplastic tumour of chest wall
4. Common bile duct tumour

Correct answer: 1. Primitive neuroectodermal tumour of chest wall

Explanation: Develop from soft tissues of chest. A member of ewings family of tumours. A rare case of thoracopulmonary tumour. Computed tomography. Histopathology. Histo studies.. Used for diagnosis.